Potts puffy tumor occurs as complication of which sinusitis:
1. Frontal
2. Sphenoid
3. Ethmoid
4. None of the above

Correct answer: 1. Frontal

Explanation: Ans. (a) Frontal* Pott Puffy Tumor occurs if infection of frontal sinusitis spreads to the marrow of the frontal bone, causing localized osteomyelitis with bone destruction that can result in a doughy swelling of the forehead.* Surgical drainage and debridement must be undertaken.